Ganciclovir is preferred over acyclovir in the following condition :
1. Herpes simplex keratitis
2. Herpes zoster
3. Chickenpox
4. Cytomegalovirus retinitis in AIDS patients

Correct answer: 4. Cytomegalovirus retinitis in AIDS patients